Which of the following produces pre-malignant lesions -
1. Psoriasis
2. Erythema multiforme
3. Lichen planus
4. All of the above

Correct answer: 3. Lichen planus

Explanation: Ans is 'c' i.e. Lichen planus "Oral LP, particularly the erosive (ulcerative variant) is prone to develop SCC, the frequency being 0.8%. Long standing disease and concurrent use of tobacco are the risk factors for malignant transformation. Tongue is the most common site for malignancy, followed by buccal mucosa." - IADVL text book of dermatology 3rd/e p. 1074